Scrotum is analogus to -
1. Labia minora
2. Labia majora
3. Uterus
4. Vagina

Correct answer: 2. Labia majora